Procalcitonin is used as a marker for?
1. Sepsis
2. Medullary carcinoma of thyroid
3. Vitamin D resistant rickets
4. parathyroid adenoma

Correct answer: 1. Sepsis

Explanation: Answer is option 1, sepsis Prompt diagnosis and treatment with appropriate antimicrobial chemotherapy is of paramount importance to reduce morbidity and mortality associated with sepsis. Inflammatory markers currently in use, such as C-reactive protein (CRP) do not reliably differentiate between the systemic inflammatory response and sepsis. Procalcitonin (PCT), a precursor of calcitonin, is a 116 amino acid protein that has been proposed as a marker of disease severity in conditions such as septicaemia, meningitis, pneumonia, urinary tract infection (UTI) and fungal and parasitic infection. Ref :